Which of the following shows characteristic 'Tranta's spots'?
1. Blepharoconjunctiviti
2. Vernal conjunctivitis
3. Phlyctenular conjunctivitis
4. Herpetic keratitis

Correct answer: 2. Vernal conjunctivitis

Explanation: Trantas spots are clinical sign observed in bulbar form of vernal keratoconjunctivitis (VKC) or spring catarrh. Bulbar form of VKC is characterized by, Dusky red triangular congestion of bulbar conjunctiva in palpebral area Gelatinous thickened accumulation of tissue around the limbus Presence of discrete whitish raised dots along the limbus (Tranta's spots) Other forms of VKCs are, peripheral form and mixed form. Ref: Comprehensive Ophthalmology by AK Khurana, 4th edition, Page 75.